Cutaneous vasocontriction is mediated by
1. Sympathetic adrenergic nerves
2. Sympathetic cholinergic nerves
3. Parasympathetic cholinergics
4. Somatic nerves

Correct answer: 1. Sympathetic adrenergic nerves

Explanation: Noradrenaline acts on vascular smooth muscles to cause vasoconstriction. This is mediated by adrenergic sympathetic fibers.